Multipleround to oval erythematous patches with fine central scale distributed along the skin tension lines on the trunk is highly suggestive of?
1. Tinea versicolor
2. Pityriasis rosea
3. Lichen planus
4. Seborrheic dermatitis

Correct answer: 2. Pityriasis rosea